Delta sign on CT is seen in?
1. Gradenigo syndrome
2. Subdural hematoma
3. Extradural hematoma
4. Sagittal sinus thrombosis

Correct answer: 4. Sagittal sinus thrombosis

Explanation: Ans. is 'd' i.e., Sagittal sinus thrombosis* The delta sign (or empty delta sign) is CT sign of dural venous sinus thrombosis of the superior sagittal sinus, where contrast outlines a triangular filling defect.